Longest diameter of fetal skull is
1. Biparietal
2. Bitemporal
3. Occipito frontal
4. Mentovertical

Correct answer: 4. Mentovertical

Explanation: Mentovertical is the longest anteroposterior diameter of the fetal head measuring approximately 13.5cms It is the diameter in brow presentation